Which is the nerve supplying gamellus inferior muscle?
1. Nerve to obturator internus
2. Nerve to obturator externus
3. Nerve to quadratus femoris
4. Ventral rami to S1 and S2

Correct answer: 3. Nerve to quadratus femoris

Explanation: Ans. C Nerve to quadratus femorisRef: BDC, 6th ed. vol. II pg. 69; Grays Anatomy 40th ed. pg. 1384* Quadratus femoris and gamellus inferior muscle are arranged together. Nerve which is bifurcating to supply quadratus femoris muscle, supplies gamellus inferior muscle as wellExtra Mile* Nerve supply of piriformis: Ventral rami to S1 and S2* Nerve supply of obturator externus muscle: Posterior division of obturator nerve